All are true of 'Postive health' in today's world except
1. Dependent on social, economic and culture
2. Mirage because of changing environment
3. Body and mind at peace
4. Changing behaviour with respect to change in future

Correct answer: 4. Changing behaviour with respect to change in future

Explanation: Concept of Positive Health Perfect functioning of heath and mind Conceptualie health biologically, psychologically and socially. Depends on economic, social and cultural factors Positive health remians a mirage due to constant change. Park 25th edition Pgno: 16